If death of a patient occurs during surgery due to the negligence of the surgeon, then he can be charged under:
1. 299 IPC
2. 300 IPC
3. 304-A IPC
4. 304-B IPC

Correct answer: 3. 304-A IPC

Explanation: Ans. 304-A IPC